Influenza virus belongs to which family?
1. Paramyxovirus
2. Orthomyxovirus
3. Bunyaviridae
4. Togaviridae

Correct answer: 2. Orthomyxovirus

Explanation: Orthomyxoviridae consist of influenza viruses. REF:ANATHANARAYAN AND PANIKER'S TEXTBOOK OF MICROBIOLOGY 9TH EDITION PAGE NO:496